True about orphan drugs:
1. Drug used for orphans
2. They are rare drugs
3. They are emergency drugs
4. Drugs for rare diseases

Correct answer: 4. Drugs for rare diseases

Explanation: Ans. (d) Drugs for rare diseases